Time sector scanning of neonates is preferred because of the following reason. Most practical reason –
1. Open fontanelles
2. Inexpensive
3. Children more co-operative
4. Better resolution

Correct answer: 1. Open fontanelles

Explanation: Because of small transducer head size, the open anterior fontanelle can function as acoustic window.